All of the following are true about anopheles type of mosquito Except
1. Eggs are boat shaped and provided with lateral floats
2. Larvae rest parallel to water surface
3. Larvae have siphon tube
4. Pupae have broad and short siphon

Correct answer: 3. Larvae have siphon tube

Explanation: Ans. is 'c' i.e., Larvae have siphon tube